A person with mitral stenosis has the following radiological signs except
1. Straightening of left heart border
2. Double density sign
3. Elevation of Right main bronchus
4. Kerley B lines

Correct answer: 3. Elevation of Right main bronchus

Explanation: Elevation of left main bronchus with widening of Carina - Mitral stenosis